A 10 year old girl is brought to the dermatologist by her parents. She has many freckles on her face, necks, arms and hands and parents report that she is unusually sensitive to sunlight. Two basal cell carcinomas are identified on her face. Which of the following processes is most likely to be defective in this patient?
1. Repair of double stranded breaks
2. Removal of mismatched bases from the 3' end of Okazaki fragments
3. Removal of pyrimidine dimers from DNA
4. Removal of uracil from DNA.

Correct answer: 3. Removal of pyrimidine dimers from DNA

Explanation: Xeroderma pigmentosum. The sensitivity to sunlight extensive freckling on parts of the body exposed to the sun Presence of skin cancer at a young age Nucleotide excision repair defect of ultraviolet damaged DNA.